Shirmer's test is used to assess
1. Greater superficial petrosal nerve
2. Stapedial branch
3. Chorda tympani nerve
4. Stylohyoid branch

Correct answer: 1. Greater superficial petrosal nerve

Explanation: Answer is A (Greater superficial petrosal nerve): Shirmer's test is done to assess the integrity of Greater Superficial Petrosal Nerve (Branch of Facial Nerve) by assessing the Lacrimation function. Topographical Test for Facial Nerve Function Branch / Nerve assessed Shirmer's test Greater Superficial Petrosal Nerve (GSPN) Stapedial Reflex Accoustic Reflex Stapedial branch (Branch to stapedius) Electrogustometry (Taste testing) Chorda Tympani Branch Salivary Flow Rate Chorda Tympani Branch